The gingival fibre group which inserts in two adjacent teeth is the?
1. Horizontal group
2. Circular group
3. Trans-septal group
4. Oblique group

Correct answer: 3. Trans-septal group